Tinea mannum effects
1. Dorsuof hands
2. Palms
3. Nails
4. Foot

Correct answer: 2. Palms

Explanation: tinea manuum it is the ringworm of the palmar skin - non glabrous skin of hand. most common organisms- t.rubrum, e.floccosum predisposing factors: poor circulation, anatomical deformities, occupation, rings, wrist bands and hyperhidrosis. clinical types: non inflammatory squamous type- hyperkeratotic lesions of palms inflammatory vesicular or dyshydrotic or eczematous form: vesicles over palms with eczematous changes Iadvl textbook of dermatology page 266